A patient has subclinical folate deficiency. Which of the following drug cannot precipitate megaloblastic anemia in this patient?
1. Alcohol
2. Metformin
3. Proguanil
4. Chloroquine

Correct answer: 4. Chloroquine

Explanation: Megaloblastic anaemia can be caused by a deficiency of folic acid or vitamin B12. The drugs that can result in a deficiency of folic acid include:
B – B12 and folic acid deficiency
A – Alcohol
T – Trimethoprim
S – Sulfasalazine
M – Metformin
A – Antifolates (Methotrexate, pyrimethamine, proguanil)
N – N2O